Small for date baby has birth weight -
1. <10 percentile
2. <50 percentile
3. <60 percentile
4. None

Correct answer: 1. <10 percentile

Explanation: They weigh kess than 10th percentile for the gestational age.REF.PARK'S TEXTBOOK OF PREVENTIVE AND SOCIAL MEDICINE.Editon-21.Page no.-494